Rave drug is?
1. Cannabis
2. Cocaine
3. Heroin
4. Ecstasy

Correct answer: 4. Ecstasy

Explanation: Ecstasy is a designer drug used in rave parties Drugs Street names MDMA(3,4-methylenedioxymethamphetamine) Ecstasy, X, M,rolls GHB (gamma-hydroxybutyrate) G, liquidecstasy, soap Flunitrazepam (Rohypnol) Mexicanvalium, circles Ketamine (Ketalar) K, Special K,jet Ref: Rave drugs, Wikipedia.